40 years old man has glare in both eyes. Examination revealed whorl like opacities of corneal epithelium. He gives history of long term treatment with amiodarone. What is the MOST likely diagnosis?
1. Band shaped keratopathy
2. Cornea verticillata
3. Climatic droplet keratopathy
4. Fuchs endothelial dystrophy

Correct answer: 2. Cornea verticillata

Explanation: Cornea verticillata is a whorl - like opacity in corneal epithelium seen in patients on long term treatment with amiodarone, chloroquine, phenothiazine, indomethacin and patients with Fabry disease. It is usually asymptomatic, glare and discomfort may occur. It is reversible on stopping the drug. Ref: Parsons' 21st / pg 214.